During which phase of the cell cycle, the cellular content of DNA is doubled?
1. Mitotic phase
2. G1 phase
3. G2 phase
4. S phase

Correct answer: 4. S phase

Explanation: The cellular content of DNA is doubled during the S phase.